Saccule of ear develops from:-
1. Pars superior
2. Pars inferior
3. Saccular anterior
4. Saculus posterior

Correct answer: 2. Pars inferior

Explanation: Development of pars superior (semicircular canals and utricle) takes place earlier than pars inferior (saccule and cochlea). The pars superior is phylogenetically older part of labyrinth.